Proximal part of stomach is mostly used for -
1. Secretion
2. Digestion
3. Motility
4. Storage

Correct answer: 4. Storage

Explanation: Ans. is'd'i.e., StorageProximal stomach,serves primarily the function of storage.